In a surgical patient, the causes of non-surgical infection -a) Lower RTIb) Wound infectionc) Clostridium difficile diarrhoead) UTI
1. abc
2. ad
3. acd
4. bde

Correct answer: 3. acd

Explanation: Postoperative patients are at increased risk for a variety of non-surgical postoperative nosocomial infections.
These are:

Urinary tract infection- (Most conunon)
Lower respiratory tract infections-3rd most common (2nd MC cause being surgical site infection (SSI)) LRTI are the leading cause of death d/t nosocomial inf.
Antibiotic-associated diarrhoea, caused by clostridium difficile.
Sinusitis
Meningitis